Cast perforated resin retained FPD derives its prime retention from:
1. Mechanical means
2. Chemical means
3. Micro-mechanical means
4. Chemo-mechanical means

Correct answer: 1. Mechanical means

Explanation: Cast perforated resin-retained fpds (mechanical retention)